All of the following statements about paneth cells are true, Except.
1. Rich in Rough Endolasmic Reticulum
2. Rich in Zinc
3. Contain Lysozyme
4. Foamy appearance

Correct answer: 4. Foamy appearance

Explanation: D i.e. Foamy appearance